In meniscus injury, 'Locking'-that is sudden inability to extend the knee fully is a feature of:
1. Bucket handle tear
2. Anterior horn tear
3. Posterior horn tear
4. Horizontal tears

Correct answer: 1. Bucket handle tear

Explanation: Ans. A i.e. Bucket handle tear